Value of free residual chlorine in Drinking water should be:
1. 0.2 mg/L
2. 0.3 mg/L
3. 0.4 mg/L
4. 0.5 mg/L

Correct answer: 4. 0.5 mg/L

Explanation: It's should be minimum 0.5 mg/l (ppm) in drink water >= 1.0 mg /l swimming pool >=2.0 mg/l kill cyclops Measured by chloroscope